Which of the following is FALSE regarding a normal pregnancy?
1. Fall in free T4/T3 in 3rd trimester
2. TSH falls in the first and second trimester but increases in the third trimester
3. TSH rises in the first and second trimester but falls in the third trimester
4. There is an increase in Thyroid binding globulin

Correct answer: 3. TSH rises in the first and second trimester but falls in the third trimester

Explanation: In pregnancy there is a relative iodine deficiency and increased renal excretion. Ref: Karla Philip, 33rd Edition, Page 304